Which of the following condition gives the characteristic radiological finding "bone within a bone" appearance?
1. Osteogenesis imperfecta
2. Osteopetrosis
3. Scurvy
4. Rickets

Correct answer: 2. Osteopetrosis

Explanation: Radiologic examination of osteopetrosis shows increased bone density and transverse bands in the shafts, clubbing of ends, and vertical striations of long bones. Thickening about the cranial foramina is present, and heterotopic calcification of soft tissues is possible. Other characteristic findings include a miniature bone inset within each vertebral body (bone-within-a bone appearance) and increased density at the end plates (sandwich vertebrae). Ref: Clinical Imaging: An Atlas of Differential Diagnosis By Ronald L. Eisenberg, 2012, Page 1088.